Acute symptomatic sinus bradycardia usually responds to -
1. Adrenaline
2. Dopamine
3. Atropine
4. Norepinephrine

Correct answer: 3. Atropine